A male infant presented with distension of abdomen shortly after birth with the passing of less meconium. Subsequently, a full–thickness biopsy of the rectum was performed. The rectal biopsy is likely to show –
1. Fibrosis of submucosa
2. Lack of ganglion cells
3. Thickened muscularis propria
4. Hyalinisation of the muscular coat

Correct answer: 2. Lack of ganglion cells

Explanation: "Whenever neonate presents with delayed passage of stool, Hirschsprung's disease should be suspected".
Diagnosis of Hirschsprung's disease

The diagnosis of Hirschsprung's disease is confirmed by rectal suction biopsies
Rectal suction biopsies demonstrate —


Hypertrophied nerve bundles
The absence of ganglion cells

Other diagnostic procedures in Hirschsprung's disease
Rectal manometry
Anorectal manometry measures the pressure of internal anal sphincter while a balloon is distended in the rectum. The results are interpreted as —Normal individual → Reflex decline in internal sphincter pressure.
Hirschsprung's disease → Pressure fails to drop, the Paradoxical rise in pressure with rectal distention.
Radiography (Barium enema)
It demonstrates the presence of the transition zone between the normal dilated proximal colon and a smaller calibre obstructed distal colon caused by non-relaxation of aganglionic bowel.
Delayed passage of stool (meconium) and abdominal distension suggests low intestinal obstruction.